Collagen present in hypertrophic cartilage?
1. Type I
2. Type X
3. Type XII
4. Type XX

Correct answer: 2. Type X

Explanation: Type X collagen is present in Hypertrophic cartilage Reference: Harper; 30th edition; Page no: 628 Table no: 50